The hormone responsible for the decidual and Arias stella reaction of ectopic pregnancy is :
1. HCG
2. Progesterone
3. Estrogen
4. HPL

Correct answer: 2. Progesterone

Explanation: Progesterone